Which is the last organ to be dissected during autopsy in asphyxial death?
1. Neck
2. Head
3. Abdomen
4. Thorax

Correct answer: 1. Neck

Explanation: The autopsy in a case of a suspected asphyxial death has to be thorough including conventional neck dissection protocol. Dissection of the neck is performed after removal of the brain and thoracic organs in order to provide a clean bloodless field for the study of neck organs and prevents any artifactual seepage of blood in soft tissues of the neck. Ref: Concise Text and Manual of Forensic Medicine, Medical Law, and Ethics, 2005, Page 224.